Combined oral pills protect the woman against all except
1. Menorrhagia
2. Benign breast disease
3. Pelvic inflammatory disease
4. Venous thromboembolism

Correct answer: 4. Venous thromboembolism

Explanation: OC pills are found to protect against: Benign breast disorder Ovarian cyst PID Ectopic pregnancy Ovarian cancer Side effect of pills is Venous thrombosis with or without pulmonary embolus. Reference : Park's textbook of preventive and social medicine, 23rd edition, Page no: 502